Acute haematogenous osteomyelitis is commonly caused by
1. Staph, aureus
2. Strepto. pneumoniae
3. E. coli
4. Pneumococcus

Correct answer: 1. Staph, aureus

Explanation: A. i.e. (Staph, aureus) (197 - Ananthanaryan 7th)* Acute haematogenous osteomyelitis - causal organism is usually Staph, aureus, less often one of the other Gram positive cocci such as Streptococcus. Pyogenes or S. pneumoniae* Organism usually settles in the metaphysis most often in the proximal tibia or in the distal and proximal ends of the femur1. Staphylococcal toxic syndrome is due to Enterotoxin B & C**2. Pantone Valentine leucocitin is seen in - Staphylococci**3. The antibody marker in serum for Staph.endocarditis is - Antiteichoic acid**